Tillaux's sign is seen in
1. Abdominal tuberculosis
2. Peritonitis
3. Mesenteric cyst
4. Misty mesentery

Correct answer: 3. Mesenteric cyst

Explanation: Tillaux's sign: In mesenteric cyst, the swelling moves freely in a plane at right angles to the attachment of the mesenteryRef: Bailey and love 27e pg: 1063